Speech arrest and myoclonic jerks are common in:
1. Chronic lead poisoning
2. Aluminium poisoning
3. Mercury poisoning
4. Arsenic poisoning

Correct answer: 2. Aluminium poisoning

Explanation: Aluminum poisoning is rare but was documented with the dialysis dementia syndrome, in which water used during renal dialysis was contaminated with excessive amounts of aluminum. This poisoning resulted in a progressive encephalopathy associated with confusion, nonfluent aphasia, memory loss, agitation, and, later, lethargy and stupor. Speech arrest and myoclonic jerks were common and associated with severe and generalized EEG changes. Ref: Harrisons principles of internal medicine, 18th edition, Page: 3315.